Compared to hydrocortisone, maximum glucocorticoid activity is seen in ?
1. Cortisone
2. Prednisolone
3. Dexamethasone
4. Methylprednisolone

Correct answer: 3. Dexamethasone

Explanation: Ans. is 'c' i.e., Dexamethasone